Calcification of Intervertebral Disc is seen in
1. Gout
2. Rheumatoid
3. Alkaptonuria
4. Psoriasis

Correct answer: 3. Alkaptonuria

Explanation: C i.e. Alkaptonuria Features Disease Fish Mouth Vertebrae - Sickel Cell AnemiaQ HomocystinuriaQ Cod Fish Vertebra (Biconcave vertebra) - Osteomalacia, Osteoporosis, Hyperparathyroid Rugger jersey spine (sclerosis of upper & lower spine borders) - CRF induced osteomalaciaQ - Osteopterosis (marbel bone disease) Calcification of Intervertebral disc - Alkaptonuria (m.c.) Picture Frame vertebrae - Paget's disease Vertebrae plana - Eosinophilic granulomaQ